Kernicterus is associated with:
1. Choreoathetoid cerebral palsy
2. Hearing abnormalities
3. Upward gaze palsy
4. All of the above

Correct answer: 4. All of the above

Explanation: Ans. D. All of the aboveCommon long term sequelae:* Extrapyramidal abnormalities: Athetosis is the most common movement disorder associated with chronic bilirubin encephalopathy* Visual abnormalities: Ocular movements are affected, most commonly resulting in upward gaze* Auditory abnormalities: Hearing abnormalities are the most consistent feature of chronic bilirubin encephalopathy and can develop in patients who show none of the other characteristic features. The most common abnormality is high-frequency hearing loss* Abnormalities of dentition: Some degree of dental enamel hypoplasia can be observed in about three quarters of patients with chronic bilirubin encephalopathy.